A 30 yrs old lady examined for infertility by hysterosalpingography, reveals 'Bead-like' fallopian tube and clubbing of ampulla. Most likely cause is:
1. Gonococcus
2. Mycoplasma
3. Chlamydia
4. Mycobacterium tuberculosis

Correct answer: 4. Mycobacterium tuberculosis

Explanation: Bead-like' fallopian tube and clubbing of ampulla in a case of infertility indicates previous infection with Mycobaterium tuberculosis. Ref: Shaw's Textbook of Gynaecology, 12th Edition, Page 119 ; Textbook of Gynecology By D C Dutta, 4th Edition, Page 132